Spontaneous abortion in 1st trimester is caused by:
1. Trisomy 21
2. Monosomy
3. Trauma
4. All

Correct answer: 4. All

Explanation: Ans. is a, b and c i.e. Trisomy 21; Monosomy; and Trauma Common causes of abortion First trimester 1. Defective germplasm (most common)/ chromosomal anomalies : Trisomy (most common) Triploidy Monosomy X Tetraploidy Structural rearrangements including : translocation, deletion, inversion 2. Endocrine disorders : Luteal phase defect Thyroid abnormalities (rare) Diabetes 3. Maternal medical illness including -- Cyanotic heart disease - Hemoglobinopathies -- Inherited thrombophilia 4. Trauma Maternal excessive use of alcohol, caffine Mid trimester 1. Anatomical abnormalities Cervical incompetence Uterine malformation/mullerian anomalies Uterine synechiae 2. Autoimmune disorders Antinuclear antibodies Antiphospholipid antibodies Maternal thrombophelia Rh and blood group incompatibility Low implantation of placenta Twins / hydramnios Endocrine abnormalities -- Progesterone deficiency -- Thyroid deficiency -- Maternal diabetes -- PCOD 7. Genetic abnormalities -- Seen in 5-10% of 2nd trimester losses (Fernando Arias 3/e, p 326) Sub chorionic bleeding Maternal/uterine infections Note: 'According to ACOG (2001), Infections are an uncommon cause of early abortions. Even in their study of IDDM--women-presumbly more susceptible to infection-simpson and coworkers (1996) found no evidence of infection induced miscarriage."